A boy presents with complaints of hypoaesthesia and wasting of thenar eminence. The nerve most likely to be damaged in this patient -
1. Musculocutaneous nerve
2. Median nerve
3. Ulnar nerve
4. Radial nerve

Correct answer: 2. Median nerve

Explanation: Wasting of thenar eminence is seen in median nerve injury